Following fistulous conditions give rise to maximum fluid and electrolyte imbalance -
1. Distal ileal
2. Gastric
3. Duodenal
4. Sigmoid

Correct answer: 3. Duodenal

Explanation: • Enterocutaneous fistulas are classified according to their location and volume of daily output.
• These factors dictate both treatment and morbidity and mortality rates.
• In general, the more proximal the fistula in the ‘intestine’ (but not the stomach), the more serious the problem, with greater fluid and electrolyte loss.
• Maximum fluid and electrolyte imbalance occur in duodenal fistulas